Arthritis "mutilans" is a feature of
1. Dermatomyositis
2. Psoriasis
3. SLE
4. Tinea versicolor

Correct answer: 2. Psoriasis

Explanation: Psoriasis